Reactionary hemorrhage occur within:
1. 24 hours
2. 1-2 days
3. 2-4 days
4. 4-6 days

Correct answer: 1. 24 hours

Explanation: Ans. A: 24 hoursAccording to the "time of appearence" hemorrhage can be classified in to:Primary hemorrhage - Is one which occur at the time of injury or operation.Reactionary hemorrhage - In majority of cases reactionary occur within 4 to 6 hours. Such bleeding may also occur due to:- Restlessness- Coughing- Vomiting with raises the venous pressure.Secondary hemorrhage -This occurs usually after 7 to 14 days of injury or operation. This is usually due to infection and sloughing of a part of the arterial wall.